Coronary vein is
1. Left Gastric vein
2. Right Gastric vein
3. Left Gastroepiploic vein
4. Right Gastroepiploic vein

Correct answer: 1. Left Gastric vein